All are part of ARAS except:
1. Oral pontine area
2. Midbrain tegmentum
3. Anterior hypothalamus
4. Posterior hypothalamus

Correct answer: 3. Anterior hypothalamus

Explanation: Ans: c (Anterior hypothalamus)Ref: Ganong 22nd ed pg 240ARAS is ascending reticular activating system The reticular activating system (RAS) is an area of the brain (including the reticular formation and its connections) responsible for regulating arousal and sleep- wake transitions.Anatomical ComponentsThe RAS is composed of several neuronal circuits connecting the brainstem to the cortex. These pathways originate in the upper brainstem reticular core and project through synaptic relays in the rostral intralaminar and thalamic nuclei to the cerebral cortex. As a result, individuals with bilateral lesions of thalamic intralaminar nuclei are lethargic or somnolent. Several areas traditionally included in the RAS are:* Midbrain reticular formation* Mesencephalic nucleus (mesencephalon)* Thalamic intralaminar nucleus (centromedian nucleus)* Posterior hypothalamus* Tegmentum* Oral pontine reticular nucleusARAS is a series of "ascending relays from the reticular formation of the lower brain stem through themesencephalic tegmentum, subthalamus and hypothalamus to the internal capsuleAnterior hypothalamus is concerned with:- Thermoregulation- Osmoreceptors- Thirst centre ( preoptic nucleus)